Preganglionic fibers of parotid pass through:
1. Facial nerve
2. Glossopharyngeal nerve.
3. Hypoglossal nerve.
4. Auriculotemporal nerve.

Correct answer: 2. Glossopharyngeal nerve.